Lymphnode metastasis is seen with -
1. Liposarcoma
2. Neurofibrosarcoma
3. Histiocytoma
4. Angiosarcoma

Correct answer: 4. Angiosarcoma